High heat obturation technique refers to:
1. Thermofill technique
2. Ultrafil technique
3. Sectional filling
4. Obtura II technique

Correct answer: 4. Obtura II technique